All of the following statements are true about repair of groin hernias except:
1. Lichtenstein tension free repair has a low recurrence rate
2. TEP repair is an extraperitoneal approach to laparoscopic repair of groin hernia
3. In Shouldice repair, non-absorbable mesh is used
4. The surgery can be done under local anesthesia in selected cases

Correct answer: 3. In Shouldice repair, non-absorbable mesh is used

Explanation: Ans. (c) In shouldice repair, non absorbable mesh is usedRef: Sabiston 19/e p1120-1126* Lichtenstein uses Tension free prolene mesh (procedure of choice for Inguinal hernia)* TEP repair - Total Extra Peritoneal repair* Shouldice- Anatomical repair- Double breasting of Fascia transversalis done* Hernia Surgeries are done by Local Anesthesia Infiltration